Which is the most common cause of acute gastroenteritis?
1. Norovirus
2. Rotavirus
3. Salmonella
4. E.coli

Correct answer: 1. Norovirus

Explanation: Norovirus (Norwalk-like virus) is estimated to be the most common cause of acute gastroenteritis. Norovirus causes approximately half of all gastroenteritis outbreaks worldwide and is a common cause of sporadic gastroenteritis in developedcountries.The rotavirus is considered the leading cause of diarrhea in infants and young children.Norovirus is expected to become the most common cause of diarrhea worldwide in all age groups as rotavirus vaccination becomes widespread.Ref: Robbins Pathology; 9th edition; Page no: 792